General fertility rate -
1. Indicator of complete family size
2. Measure of fertility
3. Not bether than crude birth rate
4. All

Correct answer: 2. Measure of fertility

Explanation: GFR is a better measure of fertility than the crude birth rate.
Completed family size is indicated by total fertility rate (not GFR).